Stress-induced ulcers are most commonly found in the:
1. Fundus of of stomach
2. Antrum of stomach
3. Pyloric channel
4. First part of duodenum

Correct answer: 1. Fundus of of stomach

Explanation: Stress induced ulcers are chracterized by multiple ,superficial(non ulcerating)erosions that begin in proximal stomach that is acid secreting portion of stomach ( fundus) and progress distally. most commonly seen in fundus and rarely in distal stomach.